Surgical treatment of parotid tumor involving the deep lobe is
1. Total parotidectomy with facial nerve preservation
2. Total parotidectomy with facial nerve sacrifise
3. Sub total parotidectomy
4. Subtotal parotidectomy with facial nerve sacrifice

Correct answer: 1. Total parotidectomy with facial nerve preservation

Explanation: Answer- A. Total parotidectomy with facial nerve preservationThe primary treatment of salivary malignancies is surgical excision.For parotid tumors that arise in the lateral lobe, superficial parotidectomy with preservation of CN VII is indicated